A clinical specimen was obtained from the wound of a patient diagnosed as Nocardiosis. For the selective isolation of Nocardia sp. Which one of the following would be the best method -
1. Paraffin bait technique
2. Castaneda's culture method
3. Craige's tube method
4. Hair bait technique

Correct answer: 1. Paraffin bait technique

Explanation: ‘Since Nocardia are among the few aerobic microorganisms that use paraffin as a carbon source, paraffin baiting can be used to isolate the organisms from mixed cultures’.